Which of the following is the cardinal symptom of urticaria?
1. Ridges
2. Bullae
3. Paresthesia
4. Pruritis

Correct answer: 4. Pruritis

Explanation: Most types of urticaria have sudden appearance of pink pruritic wheals, which are itchy . Lesions may enlarge rapidly and some resolve centrally to take up an annular shape. In an acute anaphylactic reaction, wheals may cover most of the skin surface. Urticaria that persists for more than 6 weeks is classified as chronic.